All of the following statements about Pseudohypoparathyroidism are true, except:
1. Low Serum PTH
2. Low Serum calcium
3. High Serum Phosphate
4. Albreight's Hereditary osteodystrophy

Correct answer: 1. Low Serum PTH

Explanation: Answer is A (Low Serum PTH): Pseudohypoparathyroidism It is a condition associated primarily with resistance to the parathyroid hormone.Those with the condition have a low serum calcium and high phosphate, but the parathyroid hormone level (PTH) is appropriately high (due to the low level of calcium in the blood). Its pathogenesis has been linked to dysfunctional G Proteins. Types include: TypeDescription Type 1a Has a characteristic phenotypic appearance (Albright's hereditary osteodystrophy), including short fourth and fifth metacarpals and a rounded facies. It is most likely an autosomal dominant disorder. It is also associated with thyroid stimulating hormone resistance. Type 1b Lacks the physical appearance of type 1a, but is biochemically similar. It is associated with a methylation defect. Type 2 Also lacks the physical appearance of type 1a. Since the genetic defect in type 2 is further down the signalling pathway than in type 1, there is a normal cAMP response to PTH stimulation despite the inherent abnormality in calcium regulation.